Hexokinase is -
1. Ligase
2. Transferase
3. Oxidoreductase
4. Reductase

Correct answer: 2. Transferase

Explanation: Ans. is 'b' i.e., Transferase o All kinases (including hexokinase) are transferases.Enzyme classImportant enzymesOxidoreductaseOxidases, Dehydrogenases, Hydroperoxidases, (catalase, peroxidase), oxygenases.TransferaseAmino transferase or transaminase, e.g., SGOT (AST) and SGPT (ALT), kinases (Hexokinase Q glucokinase, pyruvate kinase etc), Transketolases, transaldolases, tran scarboxy 1 ases.HydrolasesAll digestive enzymes (Pepsin, trypsin, lipases, esterases), lysosomal enzymes, urease, and phosphataseLyasesDecar boxy lases Q, aldolases, hydratases, enolase, fumarase Q, ArginosuccinaseIsomerasesRacemases, epimerases, cis- trans- isomerases, mutasesLigasesSynthatases Q, Carboxylases, DNA ligase